Which is an immuno stimulant:
1. Methimazole
2. Levamizole
3. Ketoconazole
4. Zidovudine

Correct answer: 2. Levamizole

Explanation: bRef: KDT, 5th ed, p. 763 & 4th ed, p. 821